Best spontaneous breathing circuit is:
1. Mapleson A
2. Mapleson D
3. Mapleson E
4. Mapleson F

Correct answer: 1. Mapleson A

Explanation: Ref: Ajay Yadav !v Short Textbook of Anaesthesia, Page 27Explanation:BREATHING CIRCUITSBreathing circuits connect patient to anaesthesia machine.They are classified into:Open systems: Obsolete technique e.g.: Schimmelbusch mask, open drop anaesthesia.Semi-open systems.Semi-closed systems: e.g.: Mapleson circuits.Closed systems: No gas escapes to atmosphere, exhaled gases after absorption of carbon dioxide can be reused, e.g.: Circle system, To and fro closed system.SEMICLOSED CIRCUITSThese circuits were described by Mapleson.Hence, known as Mapleson circuits.Divided into 5 types: A, B, C, D and E.Characteristics of Semiclosed Mapleson CircuitsCircuitFresh gas HowFeaturesSpontaneousControlledType A* (Magill Circuit)Equal to minute volume2xminutc volume* Circuit of cheque tor spontaneous ventilationType B * Obsolete. No mere usedType C(Water Circuit) * Obsolete. No more usedType D(Bain Circuit)2.5 x minute volume1.6 x minute volume* Circuit of choice for controlled ventilation* Most commonly used circuit in anaesthesiaType E(Avre's T piece) * Pediatric circuit* Obsolete, No more usedType F (Jackson Rees Circuit)3 x minute volume2 x minute volume* Commonly used in Pediatric circuit